Which of the following salivary factor is not bactericidal?
1. Ca2+ and Po42-
2. Lysozymes
3. Ig A
4. Lectoperoxidase

Correct answer: 1. Ca2+ and Po42-